Which of the following is called first immunization of the baby?
1. Colostrum
2. Handing over the baby to mother
3. OPV
4. DPT + BCG

Correct answer: 1. Colostrum

Explanation: a. Colostrum(Ref: Ghai 8/e p 192)Colostrum is rich in immunoglobulins & other substances that protect the baby against infections; So, Colostrum is called the 'First immunization' of the baby.